Which of the following connections are found between Odontoblasts in Odontoblastic layer?
1. Zonula adherence
2. Zonula occludence
3. Nexus
4. All of the above

Correct answer: 4. All of the above